Blind spot of mariotte:
1. Fovea centralis
2. Optic disc
3. Macula lutea
4. Ors serrata

Correct answer: 2. Optic disc

Explanation: Ans. B: Optic disc Blind spot/physiological blind spot,/punctum caecum is the place in the visual field that corresponds to the lack of light-detecting photoreceptor cells on the optic disc of the retina where the optic nerve passes through it. The ora serrata is the serrated junction between the retina and the ciliary body. This junction marks the transition from the simple non-photosensitive area of the retina to the complex, multi-layered photosensitive region.